A person has given 0.175 gm oral digoxin with bioavailabilty 70%. The amount of drug reaching in systemic circulation is:
1. 0.175
2. 0.175 x 0.7
3. 0.175/7
4. 0.175 + 0.7

Correct answer: 2. 0.175 x 0.7

Explanation: Ans. (B) 0.175 x 0.7Amount of drug reaching in systemic circulation= drug dose given x bioavailability= 0.175 gm x 70/100= 0.175 gm x 0.7